False regarding NK cells:
1. NK cell activity is augmented by interferons
2. Initial response in viral infection
3. Active against tumour cells
4. MHC restricted

Correct answer: 4. MHC restricted

Explanation: ans-DRef: Ananthanarayan, Paniker CJ. Textbook of Microbiology. 8th Edition. London: John Wiley & Sons: 2009. Pg. 131Explianation:Natural killer cellsNatural killer cells possess spontaneous cytotoxicity towards various target cells such as malignant and virus infected cells.Their cytotoxicity is NOT antibody dependent or MHC restricted.NK cell activity is 'natural" or 'nonimmune' as it does not require sensitisation by prior antigenic contact.NK cells form part of the innate immune setup.They belong to a different lineage from T and B cells.They have CD16 and CD56 on their surface.NK cell activity is augmented by interferons.